The "red line" in winter's classification of impacted teeth represents:
1. The depth at which the impacted teeth is located
2. The angulation of the 2nd molar
3. The summit of the alveolar bone covering the impacted tooth
4. Relation of the 3rd molar to the ramus

Correct answer: 1. The depth at which the impacted teeth is located